Iron and folic acid supplementation to children is a form of
1. Health promotion
2. Specific protection
3. Primodial prevention
4. Secondary prevention

Correct answer: 2. Specific protection

Explanation: Specific protection is a part of primary prevention. Primary prevention - interventions are health promotion and specific protection. Specific protection includes protection of health by personal and community efforts - immunization, nutrient supplementation(iron-folic acid supplementation, Vitamin A drops),chemoprophylaxis, protection against occupational hazards and accidents,control of consumer product quality and safety of foods,drugs,cosmetics,etc. Ref: Park's Textbook of Preventive and Social Medicine; 24th edition - Page no. 47